Membranous Glomerulopathy is seen in?
1. Diabetes
2. HTN
3. Renal failure
4. Malignancy

Correct answer: 4. Malignancy

Explanation: Membranous Glomerulopathy is seen in- Malignancy